Protein affected in spinocerebellar ataxia type 6
1. Ataxin
2. a1A-Voltage-dependent calcium channel subunit
3. Atrophin
4. Androgen receptor

Correct answer: 2. a1A-Voltage-dependent calcium channel subunit

Explanation: Ans. (b) a1A-Voltage-dependent calcium channel subunit(Ref: 19tha/pg 451)Spinocerebellar ataxia type 6 is due to CACNA2A gene on chromosome 19pl3.3, which codes for a1A-Voltage- dependent calcium channel subunit protein.